A girl presents with hyper pigmented skin lesions, precocious puberty and some bony lesion. what is the most probable diagnosis?
1. Cushing syndrome
2. Neurofibromatosis
3. Mc - cune Albright syndrome
4. Hypothalamic hamartoma

Correct answer: 3. Mc - cune Albright syndrome

Explanation: The image represents cafe - au - lait spots. Precocious puberty, bony lesion like fibrous dysplasia are seen in Mc cune Albright syndrome,